CTL inducing vaccines, recombinant adeno-associated virus vaccine and modified vaccinia Ankara are being developed for:-
1. Tuberculosis
2. Leprosy
3. Malaria
4. HIV/AIDS

Correct answer: 4. HIV/AIDS

Explanation: CTL inducing vaccines, recombinant adeno-associated virus vaccine and modified vaccinia Ankara are being developed for HIV/AIDS. Since 1987, more than 30 HIV candidate vaccines have been tested in clinical trials phases I/II: some of them are: AIDS VAX; only vaccine in phase III trials. Cytotoxic T-Lymphocytes inducing vaccine. Recombinant adeno-associated virus vaccine. Modified vaccine Ankara vaccine. Subunit vaccine.